Alloyed form of direct gold restoration is:
1. Goldent
2. Mat gold
3. Electralloy
4. laminated gold foil

Correct answer: 3. Electralloy